Compared to cow's milk, mother's milk has more
1. Lactose
2. Fat
3. Proteins
4. Vitamin D

Correct answer: 1. Lactose